Rooting reflex disappears in:
1. 2 months
2. 3 months
3. 4 months
4. 5 months

Correct answer: 3. 4 months

Explanation: If the range is asked, then the answer will be 3-4 months.